Microsatellite sequence is
1. Small satellite
2. Extra chromosomal DNA
3. Short sequence (2-5) repeat DNA
4. Looped-DNA

Correct answer: 3. Short sequence (2-5) repeat DNA

Explanation: Microsatellite is a tract of repetitive DNA in which certain DNA motifs(ranging in length from 2-5 base pairs) are repeated, typically 5-50 times. Microsatellites are a powerful tool in population genetics as a whole in part due to their cost efficiency. They are widely used for DNA profiling Ref-Harpers illustrated biochemistry 30/e 673